Ineffective osmols is
1. Na+
2. K+
3. Urea
4. All

Correct answer: 3. Urea

Explanation: Some osmoles do not exert osmotic pressure as they freely cross through a membrane. These are ineffective osmoles. Eg: Urea, Glucose.